Which of the following inhalational agent sensitizes myocardium to catecholamine
1. Sevoflurane
2. Isoflurane
3. Ether
4. Alothane

Correct answer: 4. Alothane

Explanation: Some inhalational agent sensitize the heart to adrenaline -Arrhythmias can occur -therefore these agents are contraindicated in Pheochromocytoma and along with adrenalinHalothane has maximum propensityOther agents sensitizing the heart to adrenaline are Trilene, Cyclopropane, Chloroform, Enflurane(Refer: Morgan and Mikhail's Clinical Anaesthesiology, 5th edition, pg no. 167 - 169)